The elastomer having the longest curing time is
1. Polysulfide
2. Poly ether
3. Addition silicone
4. Condensation silicone

Correct answer: 1. Polysulfide